The vitamin A supplement admistered in Prevention of Nutrition blindness in Children programme contain
1. 25000 IU/ml
2. 1 lakh IU/ml
3. 3 lakh IU/ml
4. 5 lakh IU/ml

Correct answer: 2. 1 lakh IU/ml

Explanation: 1 lakh IU is given on 0,1 and 14th day REF:Refer Khurana 6th edition page number 480